Histamine stimulate the secretion of:
1. Gastrin by stomach
2. Pancreatic enzymes
3. HCl by stomach
4. Amylase by salivary gland

Correct answer: 3. HCl by stomach

Explanation: According to Davenport theory, hydrochloric acid secretion is an active process in the canaliculi of parietal cells in gastric glands, utilising the energy derived from oxidation of glucose.
Factors stimulating the secretion of HCl:

Gastrin
Histamine
Vagal stimulation

Factors inhibiting the secretion of HCl:

Secretin
Gastric inhibitory polypeptide
Peptide YY